Characteristic clinical manifestation of schizophrenia is -
1. Confusion
2. Anxiety
3. Auditory hallucinations
4. Visual hallucinations

Correct answer: 3. Auditory hallucinations

Explanation: Third person type of auditory hallucinations are characteristic of schizophrenia.
Visual hallucinations may also occur, but more often they suggest organic mental disorder.